Borders of Gastrinoma triangle are all except:
1. Cystic duct CBD junction
2. Duodenum 2nd and 3rd part junction
3. Tail of pancreas
4. Neck of pancreas

Correct answer: 3. Tail of pancreas

Explanation: Ans. (c) Tail of pancreasRef: Sabiston 20th edition Page 952Passaro triangle* 70-90% Gastrinomas are located in this triangle